Drugs used in emergency contraception are all except :
1. Levonorgestrel
2. Estrogen + progesterone
3. Danazol
4. Mifepristone

Correct answer: 3. Danazol

Explanation: Danazol is not used as an emergency contraceptive. It is used in the medical treatment of endometriosis. OXFORD HANDBOOK OF OBSTETRICS AND GYNAECOLOGY THIRD EDITION PAGE NO 587